Which of the following viruses composed of two distinct capsids enclosing the double stranded RNA -
1. Adenovirus
2. Reovirus
3. Herpes virus
4. Myxovirus

Correct answer: 2. Reovirus

Explanation: Ans. is 'b' i.e. Reovirus